Which of the following is a syndesmosis?
1. Superior tibiofibular joint
2. Inferior tibiofibular joint
3. Superior radioulnar joint
4. Inferior radioulnar joint

Correct answer: 2. Inferior tibiofibular joint

Explanation: Syndesmosis: The bones are connected by the interosseous ligament example: inferior tibiofibular joint Description Ref BD CHAURASIA S Handbook of General Anatomy Fourth edition Pg no 61